Fever in systemic juvenile Idiopathic arthritis (sJIA) is characteristically?
1. Quartan fever
2. Tertian fever
3. Quotidian fever
4. Continous fever

Correct answer: 3. Quotidian fever

Explanation: Fever in systemic juvenile idiopathic arthritis (sJIA) is characteristically quotidian fever. Systemic JIA is characterized by Fever of atleast 2 weeks; quotidian fever- Fever that rises to 39oC (102.2oF) once a day and returns to 37oC(98.6oF) between fever peaks Arthritis in 1 or more joints Rash: Evanescent, salmon-coloured, and non-pruritic Prominent visceral involvement, including hepatosplenomegaly, and/or lymphadenopathy Serositis Ref: Nelson textbook of pediatrics 21st edition Pgno: 1224